All of the following enzymes may contribute in generating free oxygen radicals within neutrophils for killing intracellular bacteria, except-
1. Superoxide dismutase
2. Fenton's reaction
3. NADPH oxidase
4. Glutathione peroxidase

Correct answer: 4. Glutathione peroxidase

Explanation: NADPH oxidase called the phagocyte oxidase, which oxidizes NADPH (reduced nicotinamide adenine dinucleotide phosphate) and, in the process, converts oxygen to superoxide ion (O2 * ) Superoxide is then converted by superoxide dismutase into hydrogen peroxide (O2 * + 2H+ - H2O2) glutathione peroxidase major function is to protect cells from oxidative damage by regeneration of glutathione. Fenton reaction: H2O2 + Fe2+ -Fe2++ OH- + OH. ref robbins basic pathology 9th ed page 38